Which of the following has the highest amount of vitamin C:
1. Orange
2. Amla
3. Lime
4. Tomato

Correct answer: 2. Amla

Explanation: FRUITS VITAMIN C CONTENT mg/ 100 g Amla 600 Guava 212 Lime 63 Orange 30 Tomato 27 Ref: Park 21st Edition, Page 573.